CNS tumor seen in Von hippel lindau syndrome is -
1. Meningioma
2. Cerebellar hemangioblastoma
3. CNS lymphoma
4. Glioma

Correct answer: 2. Cerebellar hemangioblastoma